Feature of septic shock is -
1. Acute tubular necrosis
2. Acute cortical necrosis
3. Acute glomeruloneplu-itis
4. Acute papillary damage

Correct answer: 1. Acute tubular necrosis